Which of the following has to be present for a diagnosis of major depressive disorder -
1. Loss of interest or pleasure
2. Recurrent suicidal tendency
3. Insomnia
4. Indecisiveness

Correct answer: 1. Loss of interest or pleasure

Explanation: One of the following two should be present essentially : -


Depressed mood
Markedly diminished interest or pleasure in all or almost all activities.